Frisch bacillus affects most commonly
1. Mouth
2. Nose
3. Eye
4. Ear

Correct answer: 2. Nose

Explanation: Ans. is 'b' i.e., Nose